Following accidental intra–arterial injection of thiopentone, which should not be done?
1. Remove the needle
2. Intra–arterial heparin
3. Intra–arterial papaverine
4. Do a stellate ganglion block

Correct answer: 1. Remove the needle

Explanation: Treatment of accidental intra-arterial injection of thiopentone is:

Immediately stop the further injection.
Leave the needle at the site.
Inject heparin through this needle.
Inject papaverine through this needle.
If vasodilators like papaverine are not available, xylocaine can be used.
Brachial plexus or stellate ganglion block should be done to relieve vasospasm.